ASA classification is done for – a) Status of patientb) Riskc) Paind) Lung disease
1. ac
2. a
3. ab
4. bc

Correct answer: 3. ab

Explanation: ASA classification is to quantify the risk on the basis of patient's physical status for the patients who require anaesthesia for surgery.